Which of the following statement is TRUE regarding hemorrhage?
1. Pulse pressure decreases.
2. Hematocrit ratio increases
3. Stroke volume and heart rate increase.
4. Number of impulses traveling in the sinus nerves increases

Correct answer: 1. Pulse pressure decreases.

Explanation: The stroke volume would fall, and pulse pressure would fall. Second choice is not correct because sympathetic vasoconstriction would lower capillary pressure and reduce filtration, which would tend to reduce hematocrit. Third choice is only partly correct because heart rate would increase reflexly, but filling pressure would fall and reduce the stroke volume. Fourth choice is not correct; remember that the firing of the sinus nerve is in response to stretch. Decreasing mean or pulse pressure would decrease the firing rate.